Which of the following fetal condition result in low alpha fetoprotein levels?
1. Anencephaly
2. Anterior abdominal wall defects
3. Renal anomalies
4. Down's syndrome

Correct answer: 4. Down's syndrome

Explanation: Alpha fetoprotein is a glycoprotein which is synthesized early in gestation by the fetal yolk sac and later by the fetal gastrointestinal tract and liver. Its level is decreased in Downs syndrome and other chromosomal trisomies. Conditions with low AFP levels are: Overestimated gestational age Chromosomal trisomies Fetal death Gestational trophoblastic disease Conditions with elevated AFP levels are: Underestimated gestational age Multifetal gestation Neural-tube defects Gastroschisis Omphalocele Esophageal or intestinal obstruction Renal anomalies--polycystic kidneys, renal agenesis Urinary obstruction Ref: Cunningham F.G., Leveno K.J., Bloom S.L., Hauth J.C., Rouse D.J., Spong C.Y. (2010). Chapter 13. Prenatal Diagnosis and Fetal Therapy.